Hand-Foot-Mouth disease (HFMD) is caused by
1. CMV
2. EBV
3. HHV-7
4. Enterovirus-71

Correct answer: 4. Enterovirus-71

Explanation: Ans. d (Enterovirus-71) (Ref. Ananthanarayan, Microbiology, 8th/p. 491).Hand, foot, and mouth disease (HFMD), is a contagious enteroviral infection occurring primarily in children and characterized by a vesicular palmoplantar eruption and erosive stomatitis. It is caused by enterovirus-71 & coxsackie A5, 7, 9, 10, 16, Bl, 2, 5, with coxsackie A16 being the most common cause. Coxsackie viruses are typical enteroviruses. Enteroviruses are believed to spread via fecal-oral and perhaps respiratory routes.Coxsackie viruses also cause:# Herpangina# Aseptic meningitis# Bornholm disease (epidemic pleurodynia)# Myocarditis/ Pericarditis# Juvenile diabetes# Orchitis# Post viral fatigue synd. Educational PointsThe 72 Enteroviruses include:1 to 3 - 3 - Polio4 to 27 - 24 - Coxsackie A (Coxsackie A 23 is same as ECHO 9)28 to 33 - 6 - Coxsackie B34 to 67 - 34 - ECHO (ECHO 10 is Reo, ECHO 28 Rhino 1 A, ECHO 34 is Coxsackie A24)68 to 72 - 5 - Enterovirus 68 to 72 (Entero Virus 72 is Hepatitis A Virus)